Treatment of multiple carboxylase deficiency
1. Biotin
2. Pyridoxine
3. Thiamine
4. Folic acid

Correct answer: 1. Biotin

Explanation: Treatment of multiple carboxylase or biotinidase deficiency is biotin.Oral dose is 10-40 mg/kg/day Reference:Essential pediatrics-Ghai,8th edition,page no:650